Chromosome 21 belongs to which of the following subtype?
1. Acrocentric chromosome
2. Metacentric chromosome
3. Submetacentric chromosome
4. Telocentric chromosome

Correct answer: 1. Acrocentric chromosome

Explanation: Two different arms of the chromosome are separated by a structure known as Centromere. Location of centromere Type of chromosome Example Exactly in the middle Metacentric Towards one side Sub-metacentric 'X' chromosome On the one end Acrocentric 'Y' chromosome, 13,14,15,21,22 chromosome. Right at the tip Telocentric Not seen in humans